The reduction of the physiological hernia occurs at?
1. 6th week
2. 7th week
3. 10th week
4. 12th week

Correct answer: 3. 10th week

Explanation: C i.e. 10 weeks